The smell or odour encountered when performing autopsy on a body that has undergone established Adipocere formation is
1. Foul, Repulsive
2. Sweet, Rancid
3. No Odour
4. Pungent

Correct answer: 2. Sweet, Rancid

Explanation: Adipocere (cire=wax) is a modification of putrefaction. In this, the fatty tissues of the body change into a substance known as adipocere. Mechanism: The change is due to the gradual hydrolysis and hydrogenation of pre-existing fats, such as olein, into higher fatty acids, which combine with calcium and ammonium ions to form insoluble soaps, which being acidic, inhibit putrefactive bacteria. Properties: Adipocere has a distinct offensive or sweetish smell, but during the early stages of its production, a penetrating ammoniacal odour is noticed. Medicolegal Importance: (1) When the process involves the face, the features are well preserved, which help to establish the identity. (2) The cause of death can be determined, because injuries are recognised. (3) The time since death can be estimated. Ref:- k.s.Narayan reddy; pg num:- 171